Treatment of choice for acute lymphadenitis
1. Anitbiotics and rest
2. Lymphangiography
3. Excision
4. No treatment needed

Correct answer: 1. Anitbiotics and rest

Explanation: ACUTE INFLAMMATION OF THE LYMPHATICS Acute lymphangitis is an infection, often caused by Streptococcus pyogenes or Staphylococcus aureus, which spreads to the draining lymphatics and lymph nodes (lymphadenitis) where an abscess may form. Eventually this may progress to bacteraemia or septicaemia. The normal signs of infection (rubor, calor, dolor) are present and a red streak is seen in the skin along the line of the inflamed lymphatic . The part should be rested to reduce lymphatic drainage and elevated to reduce swelling, and the patient should be treated with intravenous antibiotics based upon actual or suspected sensitivities. Failure to improve within 48 hours suggestsinappropriate antibiotic therapy, the presence of undrained pus or the presence of an underlying systemic disorder (malignancy, immunodeficiency). The lymphatic damage caused by acute lymphangitis may lead to recurrent attacks of infection and lymphoedema; patients with lymphoedema are prone to so-called acute inflammatory episodes Ref : Bailey and love 27th edition Pgno : 996